Which of the following is not a restrictive pulmonary disease -
1. Bronchiolitis
2. Sarcoidosis
3. Kyphoscoliosis
4. Amyotrophic lateral sclerosis

Correct answer: 1. Bronchiolitis

Explanation: Ans. is 'a' i.e., Bronchiolitis Restrictive lung disease | ||ParenchymalExtraparenchymal* Sarcoidosis* Pneumoconiosis* Idiopathic pulmonary fibrosis (IPF)* Desquamative intertitial pneumonitis|||Chest wall/PleuralNeuromuscular||* Kyphoscoliosis* Ankylosing spondylitis* Chronic pleural effusion* Obesity* Amyotrophic lateral sclerosis* Guillain barre syndrome* Myaesthenia gravis